Most potent analgesic agent among following
1. Nitrous oxide
2. Nitric oxide
3. CO2
4. Oxygen

Correct answer: 1. Nitrous oxide

Explanation: Ans. a. Nitrous oxide above options, most potent analgesic agent is Nitrous oxide. "Nitrous oxide- 50:50 nitrous oxide and oxygen has revolutionized it as analgesic agent; it has been used as an analgesic agent in obstetric surgeries; dental procedures; in acute trauma; burn dressings and cardiac pain as well."- Wiley and Churchill-Davidson A Practice of Anesthesia 7/e p536 Miller says "Nitrous oxide produce analgesia that is in part because of release of proenkephalin derived family of endogenous opioids Physical properties of N20 It is colourless, non-irritating and sweet smelling Boiling point is -89degC. Critical temperature is 36.5degCdeg which is a.bove room temperature, therefore it can be kept in liquefied state. Stored as liquid in blue color cylindersQ 35 times more soluble than nitrogen Remember: Anesthesia with No analgesia HalothaneQ Only analgesia N20Q Profound analgesia KetamineQ Best/maximum analgesia TrileneQ